The caloric test for vestibular functions, tests mainly which of the following?
1. Ocular movements
2. Bilateral vestibular loss
3. Lateral semicircular canals
4. Tympanic perforation

Correct answer: 3. Lateral semicircular canals

Explanation: The caloric test is a gold standard investigation for unilateral vestibular deficit. It uses non-physiologic stimulus like water for air to induce endolymphatic flow in the semicircular canals by creating a temperature gradient from one side of the canal to another. It specifically tests the horizontal or the lateral semicircular canals because it develops the highest temperature gradient due to its location near the external auditory canal. The test has low sensitivity in bilateral loss. It tests only low frequencies.